Spur cells and stomatocytes in the peripheral smear is suggestive of:
1. Alcoholic hepatitis
2. Chronic liver disease
3. Chronic kidney disease
4. Hemolytic uraemic syndrome

Correct answer: 2. Chronic liver disease

Explanation: A mild hypoproliferative anemia may develop in patients with chronic liver disease. The peripheral blood smear shows spur cells and stomatocytes from the accumulation of excess cholesterol in the membrane due to deficiency of lecithin-cholesterol acyltransferase. Reference: Harrisons Principles of Internal Medicine, 18th Edition, Page 851